Which of the following is the approximate extracellular fluid volume of a normal individual?
1. 5% of body mass
2. 10% of body mass
3. 20% of body mass
4. 40% of body mass

Correct answer: 3. 20% of body mass

Explanation: Sixty percent of the body mass is water. Of this water, one-third (20% of body mass) is extracellular and two-thirds (40% of body mass) is intracellular.The extracellular water is further divided into interstitial water (80% of the extracellular fluid, or 15% of body mass) and plasma water (20% of the extracellular fluid, or 5% of body mass).The percentage of water in the body is a function of body fat. The greater the percentage of body fat, the lower the percentage of body water.